ASA classification is done for:
1. Status of patient
2. Risk
3. Pain
4. Lung disease

Correct answer: 1. Status of patient

Explanation: A i.e. Status of patient